In an adult patient with OCD, which is the most common obsession?
1. Aggression
2. Pathological doubt
3. Symmetry
4. Sexual themes

Correct answer: 2. Pathological doubt

Explanation: Ans. B. Pathological doubtOC symptoms in adultsObsessions (N = 200)Contamination45Pathological doubt42Somatic36Need for symmetry31Aggressive28Sexual26Other13Multiple obsessions60Compulsions (N = 200)Checking63Washing50Counting36Need to ask or confess31Symmetry and precision28Hoarding18Multiple comparisons48